Tumor with perineural invasion:
1. Adenocarcinoma
2. Adenoid cystic Ca
3. Basaal cell ca
4. Squamous cell ca

Correct answer: 2. Adenoid cystic Ca

Explanation: Ans is 'b' ie Adenocystic Ca Repeated many times]"Adenoid cystic carcinoma, which has a propensity for neural invasion, is the second most common malignancy in adults. Skip lesions along nerves are common and can lead to treatment failures because of the difficulty in treating the full extent of invasion. Adenoid cystic carcinomas have a high incidence of distant metastasis, but display indolent growth. It is not uncommon for patients to experience lengthy survival despite the presence of disseminated disease." - Schwartz 8/e "Treatment consists of removal of gross tumor with radiation therapy for the microscopic disease that is assumed to exist at the periphery of the tumor. "- Sabiston 18/e p836Recall:Most common tumor of parotid-Pleomorphic adenomaIInd MC tumor of parotid-WarthinsMC malignant tumor of salivary gland-Mucoepidermoid CaBest diagnostic modality for parotid swelling is Open incisional biopsy is contraindicated.-FNAC